A 15 year old boy presents was brought to OPD with a history of pain and swelling in the right thigh. Biopsy of the mass demonstrates Osteosarcoma. His mother was diagnosed with breast cancer 1 year ago and his maternal grandmother died of the breast cancer 10 years ago. The child has 3 younger siblings. Siblings are at an increased risk of developing which of the following cancer ?
1. Wilms
2. Neuroblastoma
3. Hepatoblastoma
4. Glioma

Correct answer: 4. Glioma

Explanation: This is a likely the case of Li Fraumeni syndrome. Li Fraumeni syndrome Cancer predisposition syndrome before the age of 45 years Associated with high risks for a diverse spectrum of childhood- and adult-onset malignancies due to germline p53 gene mutation as per Chompret criteria. 5 cancer types are : Adrenocortical carcinomas, Breast cancer, Central nervous system tumors, Osteosarcomas, Soft-tissue sarcomas. Out of the given options central nervous system tumor is glioma